Inracellular concentration of K' is -
1. 5.5 meq/L
2. 15 meq/L
3. 28 meq/L
4. 150 meq/L

Correct answer: 4. 150 meq/L

Explanation: Ans. is'd' i.e., 150 meq/LRef: Principles of medical physiology p. 712)Intracellular K* concentration -+ 150 meq/LExtracellular K* concentration -+ 4.5 - 5 meq/L